Posterior cerebral artery supplies all except
1. Pons
2. Thalamus
3. Midbrain
4. Lentiform nucleus

Correct answer: 1. Pons

Explanation: PCA SuppliesOccipital lobeTemporal lobeThalamusMidbrainLentiform nucleusPineal bodyMedial geniculate bodyLateral andRt 3rd ventricle